Pyruvate can be converted directly into all the following except :
1. Phosphoenol pyruvate
2. Alanine
3. Acetyl CoA
4. Lactate

Correct answer: 1. Phosphoenol pyruvate

Explanation: A i.e. Phosphoenol PyruvatePyruvate can be directly converted to acetyl CoA (by oxidative decarboxylation), oxaloacetate (by carboxylation), alanine (transamination); and lactate (in anaerobic conditions). But pyruvate can not be directly converted to phosphoenol pyruvate (a reaction of gluconeogenesis)Q. However, phosphoenol pyruvate can be directly converted to pyruvate (in glycolysis)Q.